Dissociative conversion disorder was previously described as -
1. Hysteria
2. Dementia precox
3. Melancholia
4. Hypochondriasis

Correct answer: 1. Hysteria

Explanation: The term "hysteria" which was once prevalent is no more in use. Instead, these disorders are now called dissociation or conversion disorders.